True about Psammoma bodies are all except
1. Seen in meningioma
2. Concentric whorled appearance
3. Contains Calcium deposits
4. Seen in teratoma

Correct answer: 4. Seen in teratoma

Explanation: Psammoma bodies are concentrically calcified structure s seen as whorls in conditions : -meningioma -Papillary carcinoma thyroid -serous cystadenoma of ovary. It is not a feature of teratoma. Ref:ROBBINS Text book of pathology)